A 25 year old Female complains of discharge of blood from a single duct in her breast. The most appropriate treatment is:
1. Radical excision
2. Microdochectomy
3. Radical mastectomy
4. Biopsy to rule out carcinoma

Correct answer: 2. Microdochectomy

Explanation: Bloody discharge from a single duct in a young pre-menopausal woman (25 years) is most likely to be due to a ductal papilloma. However a histo-pathological diagnosis is required to confirm the condition and Microdochectomy is an operation to remove the affected duct. Ref: Bailey and Love's Short Practice of Surgery, 25th Edition, Page 831; Sabiston Textbook Of Surgery, 18th Edition, Page 1856; Schwartz Principles of Surgery, 8th Edition, Page 493